Which is the most common agent responsible for Ca cervix?
1. HPV 16
2. HPV 18
3. HPV 31
4. HPV 33

Correct answer: 1. HPV 16

Explanation: HPV 16 is responsible for about 50% of cervical cancer, and is the most common agent responsible for carcinoma cervix. Other HPV strains associated with cervical cancer are HPV 18, 31 and 45. Ref: Textbook of gynecology by D C Dutta 4th edition Page 316, 322; ALCAMOS'S fundamentals of microbiology By Jeffrey C Pommerville page 829; Johns Hopkins Manual of Gynecology and Obstetrics, The, 3rd Edition, chapter 41.